Which one of the following is the common cause of chronic pancreatitis
1. Obesity
2. Gall stones
3. Polyposis
4. Chronic alcoholism

Correct answer: 4. Chronic alcoholism

Explanation: (D) Chronic alcoholism # Causes> Most common cause in the Western world of chronic pancreatitis is excess alcohol ingestion.> Gallstone-associated pancreatitis is predominantly acute or relapsing-acute in nature, and some cases of chronic pancreatitis are of undetermined or idiopathic origin.> A few are inherited or autoimmune in nature or secondary to Sphincter of Oddi Dysfunction (SOD). Other less frequent causes include chronic steroid and or anti-inflammitory use.> In up to one quarter of cases, no cause can be found.> Cystic fibrosis is the most common cause of chronic pancreatitis in children.> In other parts of the world, severe protein-energy malnutrition is a common cause.